A patient with a history of choledocholithiasis presents with elevated conjugated bilirubin. Ultrasound reveals a dilated biliary system up to the terminal part. In case of suspicion of an ampullary obstructive calculus which of the following investigations would be most sensitive?
1. PTC
2. MRCP
3. X-ray abdomen
4. Endoscopic USG

Correct answer: 4. Endoscopic USG

Explanation: Endoscopic USG - Most sensitive method to detect ampullary stones. EUS sensitivity of 93.7% to detect choledocholithiasis. Magnetic resonance cholangiopancreatography (MRCP) is also highly sensitive (>90%) with an almost 100% specificity for the diagnosis of common duct stones.Advantages of EUS is it can be followed up with ERCP immediately.An advantage of MRCP is completely non-invasiveSabiston 20th edition pg 1521